Pleomorphic adenoma histology is characterized by?
1. Epithelial component
2. Endothelial component
3. Mesodermal component
4. Mixed epithelial and mesenchymal components

Correct answer: 4. Mixed epithelial and mesenchymal components

Explanation: Ans. is 'd' i.e., Mixed epithelial and mesenchymal components They are derived from a mixture of ductal (epithelial ) and myoepithelial cells and therefore they show both epithelial and mesenchymal differentiation -Also called mixed tumor. Pleomorphic adenoma :? This is the Commonest neoplasm of Salivary glands. The most Common salivary gland involved is Parotid - represent about 60% tumors in the parotid. Submandibular and minor salivary glands may also be involved rarely. Pleomorphic adenoma - Parotid > Submandibular > minor salivary glands. They are derived from a mixture of ductal (epithelial ) and myoepithelial cells and therefore they show both epithelial and mesenchymal differentiation - Also called mixed tumor.